Which of the following is not a cardinal feature of acute limb ischemia?
1. Pallor
2. Paraesthesia
3. Pain
4. Increased temperature

Correct answer: 4. Increased temperature

Explanation: The cardinal feature of acute limb ischemia includes pain, paraesthesia which may later develop into anaesthesia, pallor, pulselessness, paralysis and perishing cold. Ref: Oxford Handbook of Accident and Emergency Medicine, 2nd Edition, Page 508.